All of the following drugs act by blocking calcium channels except:
1. Dantrolene
2. Nicardipine
3. Diltiazem
4. Verapamil

Correct answer: 1. Dantrolene